Acoustic neuroma of 1 cm diameter, the investigation of choice -
1. CT Scan
2. MRI Scan
3. Plain X-ray skull
4. Air encephalography

Correct answer: 2. MRI Scan